The following statements are true for lead poisoning except-
1. Only inorganic compounds are absorbed through the skin
2. 90% of ingested lead is excreted in faeces
3. Lead has mainly CNS toxicity
4. Urine lead levels of more than 0.8 mg/I indicate lead absorption

Correct answer: 1. Only inorganic compounds are absorbed through the skin

Explanation: Lead poisoning symptoms in children Signs and symptoms of lead poisoning in children include: Developmental delay Learning difficulties Irritability Loss of appetite Weight loss Sluggishness and fatigue Abdominal pain Vomiting Constipation Hearing loss Seizures Eating things, such as paint chips, that aren't food (pica) Lead poisoning symptoms in newborns Babies exposed to lead before birth might: Be born prematurely Have lower birth weight Have slowed growth Lead poisoning symptoms in adults Although children are primarily at risk, lead poisoning is also dangerous for adults. Signs and symptoms in adults might include: High blood pressure Joint and muscle pain Difficulties with memory or concentration Headache Abdominal pain Mood disorders Reduced sperm count and abnormal sperm Miscarriage, stillbirth or premature birth in pregnant women Reference Harrison 20 edition pg 789